A 40 yr old male with controlled thyrotoxicosis and Carcinoma rectum was undergoing laparcopic abdominoperineal resection, during which he was found to have decreased Blood Pressure and Heart Rate. On examination, a mill-wheal murmur was heard. The end tidal pCO2 was observed found reducing from 40 to 10. What is the most likely diagnosis?
1. Air embolism
2. Thyroid storm
3. Blood loss
4. Acute hypoxia

Correct answer: 1. Air embolism

Explanation: A i.e. Air embolism